Amyloid like stroma is seen in-
1. Papillary tumor
2. Follicular tumor
3. Medullary tumor
4. Anaplastic tumor

Correct answer: 3. Medullary tumor

Explanation: harshmohan textbook of pathology 7th edition. *most medullary carcinoma of thyroid have amyloid deposits in stroma which stains positively with Congo red.the amyloid deposits are believed to represents stored calcitonin derived from the neoplastic C cells in the form of pro hormone.